Which of the following is Aldosugar ?
1. Fructose
2. Erythrulose
3. Glucose
4. None

Correct answer: 3. Glucose

Explanation: Ans. is `c' i.e., Glucose SugarNumber of carbon atoms Aldoses (Aldosugars)Ketoses (ketosugars)Trioses2 GlyceraldehydeDihydroxyacetoneTetroses4 ErythroseErythrulosePentoses5 Ribose, XyloseRibulose, xyluloseHexoses6 Glucose, galactase, mannoseFructoseHeptoses7 GlucoheptoseSedoheptulose